A patient comes with chronic itchy papulovesicles on the extensors which of the following is not true?
1. Aggravated by wheat
2. Dapsone helps
3. IgA granular
4. Subcorneal split

Correct answer: 4. Subcorneal split

Explanation: Ans. D. Subcorneal splitImage showing Dermatitis Herpetiformis usually associated with the HLA - DQ2 along with celiac disease and gluten Sensitivity. Lesions mostly on extensor surfaces.Dapsone is an effective treatment is most people.